You are conducting an autopsy on a patient and you find the so-called ladder tears near the main lesion on a major blood vessel. What is the most likely cause of the injury and subsequent death of the person?
1. Rapid deceleration
2. Penetrating injury
3. Lightning strike
4. Strangulation

Correct answer: 1. Rapid deceleration

Explanation: The aorta may rupture as a result of sudden deceleration as in A. The aortic rupture is circular and clean cut and appears as if it was cut by a sharp knife. Sometimes multiple transverse internal tears adjacent to the main rupture is seen and these are called ladder tears. Ref: Textbook of Forensic Medicine by Narayana Reddy, Edition 20, Page 237